Scar endometriosis can occur following :
1. Classical Cesarean Section
2. Hysterotomy
3. Episiotomy
4. All of the above

Correct answer: 4. All of the above

Explanation: Ans. is d i.e. All of the above Endometriosis sometimes occurs in abdominal wall scars following operations on uterus or tubes and is known as Scar endometriosis. Operations most likely to be followed by scar endometriosis Hysterotomydeg * Classical cesarean sectiondeg Myomectomydeg * Ventrofixationdeg Following operations for section of Fallopian tubedeg * Following operations for removal of pelvic Episiotomydeg endometriosisdeg